Down beat nystagmus could be due to-a) Cerebellar lesionb) Arnold - Chiari malformationc) Optic neuritisd) Pontine lesion
1. ac
2. a
3. ab
4. bc

Correct answer: 3. ab

Explanation: Upbeat nystagmus → lesions of central tegmentum of brain stein.
Downbeat nystagmus → Cerebellar lesions and Arnold chiari syndrome. It is due to posterior fossa disease and compression at foramen magnum level.